HACEK group of organism includes all except
1. Haemophilus aphrophilus
2. Acinctobacter baumannii
3. Cardiobacterium hominis
4. Eikenella corrodens

Correct answer: 2. Acinctobacter baumannii

Explanation: Acinetobacter baumannii Repeat from May 2008